Pulmonary hypoplasia with urinary problems is associated with
1. Mobius syndrome
2. Potter syndrome
3. Patau Syndorme
4. WAGR syndrome

Correct answer: 2. Potter syndrome

Explanation: Potter syndromePotter syndrome refers to the typical physical appearance and associated pulmonary hypoplasia of a neonate as a direct result of oligohydramnios and compression while in utero.In Potter syndrome, the primary problem is kidney failure mostly due to renal agenesis. The kidneys fail to develop properly as the baby is growing in the womb.(Refer: Nelson's Textbook of Pediatrics, SAE, 1st edition, pg no. 2554)